25 year old woman undergoes pap smear at screening camp for cervical cancer. Her test report comes out to be inadequate cervical cytology. What is the appropriate follow up for the patient
1. Refer for colposcopy
2. Repeat cervical cytology in 3 months
3. Repeat cervical cytology in 6 months
4. Repeat cervical cytology in 3 years

Correct answer: 2. Repeat cervical cytology in 3 months

Explanation: If pap smear is unsatisfactory / inadequate, then it should be repeated in 3 months.